On mammogram, all of the following are the features of a malignant tumor except:
1. Spiculation
2. Microcalcification
3. Macrocalcification
4. Irregular mass

Correct answer: 3. Macrocalcification

Explanation: Ans. C...MACROCALCIFICATION is seen in fibroadenomaAlso know Distinguishing features between benign and malignant lesions on mammogram Benign Malignant Opacity Smooth margin Ill defined margin, Irregular stellate, spiculated margin, comet tail Low density High density Homogeneous In homogeneous Thin halo wide halo Calcification Macrocalcification (> 5mm in diameter) Microcalcification (< 5 mm in diameter) Breast Parenchyma Normal Architectural distortion Nipple/areola +- Retracted +- Retracted Skin Normal thickened Cooper ligaments Normal thickened, increase number Ducts Normal focal dilatation Subcutaneous retro mammary space Normal obliterated Calcifications are the most common finding on mammogram. Most of these are benign calcification. * The calcification patterns which are associated with high probability of malignancy are: Clustered pleomorphic heterogenous microcalcifications these are small, usually less than 0.5 mm in diameter vary in size, shape and density often termed granular calcifications. Fine linear or fine branching calcifications these calcifications are often seen in comedocarcinoma * Architectural distortion the structures of the breast are normally directed towards the nipple. Disturbances in this normal orientation of tissue towards the nipple, especially the tethering or pulling in of structures to a point away from the nipple, is termed architectural distortion. architectural distortion is highly suspicious for breast carcinoma, although benign conditions such as radial scar, surgical scar, fat necrosis can have this appearance.